Cells that are identified by the presence of immunoglobulins on the surface include -
1. B cells
2. NK cells
3. Monocytes
4. Neutrophils

Correct answer: 1. B cells

Explanation: The B-cell receptor or BCR is a transmembrane receptor protein located on the outer surface of B cells. The B-cell receptor is composed of two parts: i) A membrane-bound immunoglobulin molecule of one isotype (IgD, IgM, IgA, IgG, or IgE). ii) Signal transduction moiety.